All of the following statements regarding the deep fascia of the thigh are true except:
1. It splits in the gluteal region to enclose gluteus maximus muscle
2. Iliotibial tract forms a sheath for tensor fasciae latae muscle
3. Medially the fascia is thickened to form iliotibial tract
4. It is also known as fascia lata

Correct answer: 3. Medially the fascia is thickened to form iliotibial tract

Explanation: Deep Fascia of the Thigh's (Fascia Lata) upper end is attached to the pelvis and the inguinal ligament. On its lateral aspect, it is thickened to form the iliotibial tract, which is attached above to the iliac tubercle and below to the lateral condyle of the tibia. The iliotibial tract receives the insertion of the tensor fasciae latae and the greater part of the gluteus maximus muscle.In the gluteal region, the deep fascia forms sheaths, which enclose the tensor fasciae latae and the gluteus maximus muscles.The saphenous opening is a gap in the deep fascia in the front of the thigh just below the inguinal ligament. It transmits the great saphenous vein, some small branches of the femoral artery, and lymph vessels.The saphenous opening is filled with loose connective tissue called the cribriform fascia.